Unit of Km is:
1. second-1
2. Moles second-1
3. Millimoles
4. Millimoles Litre-1

Correct answer: 4. Millimoles Litre-1

Explanation: The Km is the substrate concentration at 1/2 Vmax. As Km is the concentration, unit of Km will be the unit of concentration Km is a measure of a substrate's affinity for the enzyme. It is inversely proportional to the affinity.